What is the type of Goldman tonometry?
1. Applanation Tonometry
2. Dynamic countour tonometry
3. Rebound tonometry
4. Impression tonometry

Correct answer: 1. Applanation Tonometry

Explanation: Ans. is 'a' i.e., Applanation Tonometry Measurement of intraocular pressure (IOP)* Measurement of IOP is done byA) Manometry It is the only direct measure of IOP.B) TonometryIt is an indirect method of measurement of IOP. Following types of tonometers are therei) Indentation (impression) tonometerThese are the most commonly used tonometers. Example is Schiotz tonometer.ii) Applanation tonometerGoldmann applanation tonometer is the most accurate tonometer. Other types of applanation tonometers are perkins tonometer, pneumatic tonometer; air-puff tonometer, Pulse air tonometer, Tono pen.